Oligoarthritis with ascending joint involvement is seen in -
1. Juvenile osteoarthritis
2. Seronegative arthritis
3. SLE
4. Septis arthritis

Correct answer: 2. Seronegative arthritis

Explanation: SERONEGATIVE SPONDYLOARTHROPATHIES * These comprise a group of related inflammatory joint diseases, which show considerable overlap in their clinical features and a shared immunogenetic association with the HLAB27 antigen . They include: * ankylosing spondylitis * axial spondyloarthritis * reactive arthritis, including Reiter's syndrome * psoriatic arthritis * arthropathy associated with inflammatory bowel disease. ref : maheswari 9th ed